Normal respiratory minute volume is?
1. Tidal volume X Respiratory Rate
2. Tidal volume/ Respiratory Rate
3. TLC/ Respiratory Rate
4. FRC/ Respiratory Rate

Correct answer: 1. Tidal volume X Respiratory Rate

Explanation: Ans. (a) Tidal Volume X Respiratory RateRef: Ganong 25th ed. 1629RMV: Respiratory minute volume: 500ml X 12 breaths/ min= 6L